ADTKD patients have a defect in which of the following genes?
1. MUC1
2. PKD1
3. BBS 1
4. NPHS1

Correct answer: 1. MUC1

Explanation: AD Tubulointerstitial Kidney Disease - Defect in MUC1 & UMOD NPHS1: Related to development of Congenital/Finnish Nephrotic Syndrome NPHS2: Related to pediatric- infantile Nephrotic Syndrome. PKD1/2: ADPKD BBS1:Bardet Biedl Syndrome